Which of the following is the most common etiological agent in paranasal sinus mycosis?
1. Aspergillus species
2. Histoplasma
3. Conidiobolus coronatus
4. Candida albicans

Correct answer: 1. Aspergillus species

Explanation: (a) Aspergillus species(Ref. Cummings, 6th ed., 732)The most common etiological agent in paranasal sinus mycosis is Aspergillus fumigatus.